Thrombocytosis is a recognised feature of ?
1. Myelofibrosis
2. Systemic lupus erythematosis
3. Azidothymidine therapy
4. All

Correct answer: 1. Myelofibrosis

Explanation: Ans. is 'a' i.e., Myelofibrosis Important causes of thrombocytosis o Collegen vascular disease o Infection o Hemorrhage o Inflammatory bowel disease o Myeloproliferative disorders o Iron deficiency anemia o Malignancy o Myelodysplastic syndrome